Pseudo class III condition occurs due to
1. Lingually inclined mandibular incisors
2. Lingually inclined maxillary molars
3. Labially inclined maxillary incisors
4. None of these

Correct answer: 4. None of these